Most common type of hernia in the young age group:
1. Femoral hernia
2. Direct inguinal hernia
3. Indirect inguinal hernia
4. Umbilical hernia

Correct answer: 3. Indirect inguinal hernia

Explanation: Ans. C: Indirect inguinal hernia